A 45 year old woman with Intracranial extradural hemorrhage is presented with all except
1. Absence of Lucid interval
2. Not commonly seen in old age
3. Middle meningeal artery involvement
4. Temporoparietal region fracture

Correct answer: 1. Absence of Lucid interval

Explanation: (A) Absence of Lucid interval SYMPTOMS OF CEREBRAL HEMORRHAGESubduralSubarachnoidEpiduralIntracerebralCerebellar HerniatiorLethargyAbrupt onset of headacheInitial loss of consciousnessAltered level of consclo susnessExtensor postruingSeizuresMeningeal irritation (e.g. neck stiffness, low back pain, bilateral leg pain)Lucid IntervalNausea/ vomitingAsymmetric dilated or unreactive pupilsNausea, HeadacheNausea, vomitingSecond loss of consciousnessHeadacheDecreased brain stem bbodflow, cardiovascular collapseSlurred speechPhotophobia & visual changesHemiparesisSeizures WeaknessGlobal or focal neurological changesNausea/vomitingFocal neurological deficits Loss of consciousness after injurySeizures, motor deficitsTranstenortal herniation, coma, fixed/ dilated pupils, decerebrate posturingNuchal rigidity # Extradural haemorrhage (EDH) is a collection of blood in the potential space between the Extradural haemorrhage (EDH) is most often due to a fractured temporal or parietal bone damaging the middle meningeal artery or vein, with blood collecting between the dura and the skull, dura and the bone.> There is usually a history of trauma and head injury that causes loss of consciousness.> However, this 'classical' presentation occurs in less than a third of cases.